Fogarty,s catheter used for
1. Urethral catheterization
2. Removal of blood clots from the arteries
3. Bladder drainage
4. TPN

Correct answer: 2. Removal of blood clots from the arteries